Malignant tumour of skeletal muscle is
1. Rhabdomyoma
2. Rhabdomyosarcoma
3. Leiomyoma
4. Leiomyosarcoma

Correct answer: 2. Rhabdomyosarcoma